All of the following are asociated with secondary Sjogren's syndrome EXCEPT
1. Rheumatoid arthritis
2. Primary biliary cirrhosis
3. Pheochromocytoma
4. Systemic lupus erythematosus

Correct answer: 3. Pheochromocytoma

Explanation: Ref - researchgate.net